CD marker for cytotoxic T-cells?
1. CD 4
2. CD 8
3. CD 21
4. CD 45

Correct answer: 2. CD 8

Explanation: Ans. is 'b' i.e., CD 8